Tennis elbow is
1. Inflammation of lateral epicondyle of humerus
2. Inflammation of medial epicondyle of humerus
3. Avulsion injury of head of radius
4. Avulsion injury of olecranon process

Correct answer: 1. Inflammation of lateral epicondyle of humerus

Explanation: Tennis elbow is a condition characterised by pain and tenderness at the lateral epicondyle of the humerus due to non-specific inflammation at the origin of the extensor muscles of the forearm.Maheswari 5th edition Pg: 302